In surgery of submandibular salivary gland, nerve often involved -a) Hypoglosalb) Glossopharygnealc) Faciald) Lingual
1. abc
2. ad
3. acd
4. bde

Correct answer: 3. acd

Explanation: Three cranial nerves are at risk during removal of the submandibular salivary gland-the mandibular branch of facial nerve, the lingual nerve & hypoglossal nerve.